Which of the following is not a feature of Peutz - Jegher Syndrome ?
1. Mucocutaneous  pigmentation
2. Autosomal dominant
3. Hamartomatous polyp
4. Gain of function mutation of LKB1 / STK11

Correct answer: 4. Gain of function mutation of LKB1 / STK11

Explanation: It is due to loss of function mutation of LKB1 / STK11